Hung up knee jerk is seen in:
1. Chorea
2. Cerebral palsy
3. Athetosis
4. None

Correct answer: 1. Chorea

Explanation: Ans: aRef: Dr Arup Kundu, 3rd ed, p. 414